Chassar Moir technique is used in
1. Vesico vaginal fistula
2. Stress incontinence
3. Urethrocoele
4. Enterocoele repair

Correct answer: 1. Vesico vaginal fistula

Explanation: Vesico vaginal fistula